After a single episode of painless gross hematuria in a boy. Doctor performed an excretory urogram showing a filling defect towards the lower renal infundibulum 1.5 cm. in size. What will be the next investigation to be done ?
1. Cystoscopy
2. Urine cytology
3. USG
4. Retrograde pyelography

Correct answer: 3. USG

Explanation: Ans. is 'c' ie USG There can be various reason for a filling defect on IVP - stones, mass, cyst etc. They can be very well be diagnosed by USG.